A patient with cancer developed an extreme degree of radiation toxicity. Further history revealed that the dose adjustment of a particular drug was missed during the course of radiotherapy. Which of the following drugs required a dose adjustment during radiotherapy in order to prevent radiation toxicity
1. Vincristine
2. Dactinomycin
3. Cyclophosphamide
4. 6–Mercaptopurine

Correct answer: 2. Dactinomycin

Explanation: Anthracyclines and actinomycin-D (dactinomycin) can cause severe radiation toxicity. This is known as radiation recall syndrome.